Short gastric artery is a branch of ?
1. Coeliac trunk
2. Splenic artery
3. Hepatic artery
4. Superior mesentric artery

Correct answer: 2. Splenic artery

Explanation: Ans. is 'b' i.e., Splenic artery